Monthly dose of treatment of vitamin A deficiency in 10 kg child who is 2 years old is -
1. 5000 IU
2. 100000 IU
3. 150000 IU
4. 200000 IU

Correct answer: 4. 200000 IU

Explanation: Ans. is 'd' i.e., 200000 IU * For treatment of vitamin A deficiency, oral vitamin A is given at a dose of 50000 IU, 100000 IU and 200000 IU in children <6 months, 6-12 months and > 1 year, respectively.* The same dose is repeated next day and 4 weeks later.